Hypersensitivity vasculitis is seen most commonly in
1. Postcapillary venules
2. Arterioles
3. Veins
4. Capillaries

Correct answer: 1. Postcapillary venules

Explanation: HYPERSENSITIVITY VASCULITISIn hypersensitivity vasculitis, postcapillary venules are the most commonly involved vessels, capillaries and arterioles are involved less frequently.It is primarily a disease of small vessels.It is characterized by leukocytosis, a term that refers to the nuclear debris remaining from the neutrophils that have infiltrated in and around the vessels during the acute stages.